Pipkin fracture is defined as
1. Head of radius fracture
2. Head of femur fracture
3. Fracture dislocation of ankle
4. Fracture neck of femur

Correct answer: 2. Head of femur fracture

Explanation: Pipkin fracture is defined as head of femur fracture. * pipkin types ( dislocation of hip with fracture of femoral head) type 1 : femoral dislocation of the hip with fracture of femoral head caudad to fovea centralis type 2: posterior dislocation of the hip with fracture of the femoral head cephalad to the fovea centralis type 3: type 1 & type2 with associated fracture of femoral neck type 4 : type1,2,3 with associated fracture of acetabulum Ref: Textbook of Orthopaedics, John Ebenezer, 6th edition, page no 214